An enzyme produced by Staphylococcus aureus that dissolves fibrin clots is:
1. Hyaluronidase
2. Catalase
3. Staphylokinase
4. Lipase

Correct answer: 3. Staphylokinase

Explanation: Pathogenic bacteria release exoenzymes that increase their ability to invade body tissue. These include coagulase, kinases, lipase, hyaluronidase, and collagenase. All Staphylococci produce catalase, an enzyme responsible for conversion of toxic hydrogen peroxide to water and oxygen which accumulates during bacterial metabolism or is released following phagocytosis. Kinases dissolve fibrin clots thus enabling the organism to invade and spread throughout the body. Staphylococcus aureus produces staphylokinase which is fibrinolytic. Coagulase is the exoenzyme produced by Staphylococcus aureus and it clots the plasma. Lipase hydrolyzes lipids, and aids in the survival of staphylococci in the sebaceous glands. Hyaluronidase enables pathogen to spread through connective tissue by breaking down hyaluronic acid, the "cement" that holds tissue cells together. Ref: Francis C.W., Crowther M. (2010). Chapter 23. Principles of Antithrombotic Therapy. In J.T. Prchal, K. Kaushansky, M.A. Lichtman, T.J. Kipps, U. Seligsohn (Eds), Williams Hematology, 8e.